The distinct golden colour in transgenic Golden rice is due to presence of -
1. Riboflavin
2. b-carotene
3. Vitamin B12
4. Xanthopyll

Correct answer: 2. b-carotene

Explanation: Golden rice: Variety of rice produced through genetic engineering to boisynthesize beta carotene, a precursor of vitamin A. The distinct golden colour is due to the beta carotene content. It is indented to produce a fortified food to be grown and consumed in areas with a shortage of dietary vitamin A. Golden rice differs from its parenteral strain by the addition of three beta carotene biosynthesis gene.